All are non scrapable white lesions, except:
1. Leukoplakia
2. Lichen planus
3. Chemical burns
4. White sponge nevus

Correct answer: 3. Chemical burns

Explanation: Non-Scrapable White Lesions

Leukoplakia  
Lichen planus 
Linea alba
Frictional hyperkeratosis  
White sponge nevus  
Dyskeratosis congenita
Chronic hyperplastic candidiasis.